A child was found to have hypoglycaemia, hepatomegaly and accumulation of highly branched glycogen called limit dextrins. What is the diagnosis given?
1. Cori's disease
2. Anderson's disease
3. McArdle's disease
4. Von Gierke's disease

Correct answer: 1. Cori's disease

Explanation: Cori's disease is is also called as Limit dextrosis as it causes deposition of limit dextrin which leads to hypoglycaemia, heptomegaly, hyperlipidemia.